Cyanide poisoning acts by :
1. Inhibiting DNA synthesis
2. Inhibiting enzymes of proteins synthesis
3. Inhibiting cellular respiration
4. Inhibiting protein breakdown

Correct answer: 3. Inhibiting cellular respiration

Explanation: C i.e. Inhibit cellular respiration